Which of the following is an example of a non venereal disease -
1. Endemic syphilis
2. Gonorrhoea
3. Chancroid
4. LGV

Correct answer: 1. Endemic syphilis